EEG waves seen in Hippocampus are
1. alpha
2. beta
3. theta
4. delta

Correct answer: 3. theta

Explanation: (C) theta > Large amplitude, pattern of regular 4-7/sec waves called theta rhythm occurs in children and is generated in the hippocampus in experimental animals.> a-rhythm occurs in adult humans who are awake but at rest within eyes closed, EEG shows a regular pattern of waves at a frequency of 8-12 Hz and amplitude of 50-100 mv, most marked in parieto-occipital area.> b-rhythm is harmonic of alpha, showing patterns of lower amplitude, 18-30 Hz, seen over frontal regions.> Delta waves are large slow waves of frequency less than 4 Hz, seen in deep sleep.